Macrocytic anemia not seen in?
1. Folate deficiency
2. Anemia of chronic disease
3. Previous ileum resection
4. Regional enteritis

Correct answer: 2. Anemia of chronic disease

Explanation: Microcytosis is seen in folate deficiency And all GIT diseases , due to inhibition of folate mechanism - nuclear maturation lags behind that of cytoplasm Reference test book of Pathology 7th edition author Harsha Mohan page number 280- 283